A cross-section of the cervical third of the pulp canal of a maxillary second premolar resembles in shape:
1. A circle
2. A square
3. A triangle
4. An ellipse

Correct answer: 4. An ellipse